A patient who is a known case of cystic fibrosis comes to emergency department with complain of pain abdomen. He gives history of similar episodes in past. Abdominal x ray and USG were done in the patient after stabilization. The patient is not at risk of which of the following condition?
1. Vitamin B 12 deficiency
2. Neuropathy
3. Pancreatic carcinoma
4. Niacin deficiency

Correct answer: 4. Niacin deficiency

Explanation: The above radiological investigation reveals that patient is suffering from chronic pancreatitis, which is a known complication that occurs in patients of cystic fibrosis. Both endocrine and exocrine functions get impaired. Exocrine function impairment leads to fat malabsorption and steatorrhea. Fat soluble vitamins are also not absorbed. Vitamin A deficiency leads to NEUROPATHY. Vitamin B 12 or cobalamin is also usually deficient as intrinsic factor metabolism is impaired. Chronic abdominal pain is the most common symptom. Niacin is water soluble vitamin and therefore unaffected in this condition.